Alprostadil is indicated in -
1. Erectile dysfunction
2. PPH
3. Glaucoma
4. Cervical ripening

Correct answer: 1. Erectile dysfunction

Explanation: Ans. is 'a' i.e., Erectile dysfunction o Alprostadil(PGE1) is commonly used for -i) To maintain the patency of ductus arteriosus.ii) Erectile dysfunction.